Corynebacterium minutissimum causes?
1. Erysipelas
2. Erythrasma
3. Erythema ab igne
4. Erythroplasia

Correct answer: 2. Erythrasma

Explanation: Ans. B. ErythrasmaERYTHRASMA is caused by Corynebacterium minutissimum. It is a chronic superficial bacterial infection of skin involving the body folds and toe, webs, sometimes becoming generalized. It is characterized by presence of sharply demarcated, dry, brown slightly scaly and slowly spreading patches.SOME IMPORTANT NAMED DISEASES:DISEASECAUSATIVE AGENTPiroplasmosis/Texas feverBabesiaKatayama diseaseSchisto. JaponicumOmsk feverFlaviviridaeGaol feverRick. ProwazekiPink eyeH. aegyptiacusBaghdad sore/Delhi boil/Oriental soreLeishmania tropicaCarrions disease/Peruvian wartBartonella bacilliformisHebra noseKlebs. RhinoscleromatisMilker's nodeParavacciniaVagabonds diseasePediculosis corporisBuruli ulcerMycobact. ulceransCoconut cake rectumTrichuris trichiuraPseudohemoptysisSerratiaWalking pneumoniaMycoplasma pneumoniaPontiac feverLegionellaWeil's diseaseLeptospira interrogansCanicola feverLeptospira canicolaTinea imbricateTrichophyton concentricumPresternal edemaMumps virusPMLEJC virusDuncan's diseaseEBVCold soreHSVOrfParapox virusMedian rhomboid glossitisCandida albicansRed diaper syndromeSerratia marcesans